Continuous data is represented by-
1. Bar diagram
2. Pie chart
3. Histogram
4. Pictogram

Correct answer: 3. Histogram

Explanation: Ans. is 'c' i.e., Histogram* Continuous (quantitative) data is represented by histogram (among the given options)DataScaleGraph/DiagramQuantitativeInterval scaleRatio scaleHistogramFrequency polygonfrequency curves linechart scatter diagramCumulative frequency CurveLine Chart graphQualitativeNominal scaleOrdinal scaleBar diagramPie chartPictogramMap diagram or spot map